In Parvovirus infection what is common in adult
1. Bone marrow aplasia
2. PRCA
3. Erythema infectiosum
4. Arthropathy

Correct answer: 4. Arthropathy

Explanation: Arthropathy occurs in ~50% of adults and is more common among women than among men.
The distribution of the affected joints is often symmetrical, with arthralgia affecting the small joints of the hands and occasionally the ankles, knees, and wrists.
Resolution usually occurs within a few weeks, but recurring symptoms can continue for months. Arthropathy is uncommon among children